Which of the following is true about hallux valgus?
1. Great toe points laterally
2. Great toe points medially
3. Lateral angulation of the 1 stmetatarsophalyngeal joint
4. Dorsal angulation of the lstmetatarsophalyngeal joint

Correct answer: 1. Great toe points laterally

Explanation: Ans. is 'a' i.e., Great toe points laterally Hallux valgus Hallux valgus is lateral (outward) deviation of great toe at the metatarsophalangeal joint. It is the commonest foot deformity. It is common in women past middle age, and is not infrequent even in young women. Common causes are : Rheumatoid arthritis Wearing pointed shoes with high heels Hereditary factors Idiopathic Pathology Outward deviation of the great toe. After several years two secondary changes occur :- i) Formation of a thick walled bursa (bunion) over the medial prominence of 1" metatarsal head. ii) Osteoarthritis of metatarsophalangeal joint. It is worth noting that medial prominence over metatarsal head looks like an exostosis, but there is no true exostosis. Lateral deviation of great toe causes overcrowding of lateral toes and sometimes overriding of adjacent toes.